Injury to the medial meniscus is rather impossible when the knee joint does not
1. Extend
2. Flex
3. Rotate
4. All

Correct answer: 3. Rotate

Explanation: C i.e. Rotate